All are true about hypertropic obstructive cardiomyopathy except-
1. Assymmetric septal hypertrophy
2. Dilatation of atria
3. Dilatation of ventricles
4. Outflow obstruction

Correct answer: 3. Dilatation of ventricles

Explanation: Ans. is 'c' i.e., Dilatation of ventricles Hypertrophic cardiomyopathy (HOCM) o HOCM also known as hypertrophic subaortic stenosis or hypertrophic obustructive cardiomyopathy. o It is characterized by massive myocardial hypertrophy without ventricular dilatation. o Because of hypertrophy ventricular filling during diastole is impaired ---> Diastolic dysfunction. Systolic function is usually preserved. HOCM has following features Massive myocardial hypertrophy without ventricular dilatation, i.e. there is increase in transverse diameter (width) of myocytes, but length remains same. The classical pattern of hypertrophy is disproportionate thickening of ventricular septum as compared with the free wall of the ventricle frequetly termed as assymetrical septal hypertrophy. On cross section, the ventricular cavity loses its usual round to avoid shape and may be compressed into "banana-like" configration. Septal hypertrophy is most prominent in the subaortic region, ie. at the outflow area of left ventricle --) Obustruction in the systolic ejection. There is thickening of anterior mitral leaflet which move anteriorly during systole further increase in obustruction. The most important histological finding is disruption of the normal alignment of myocytes --> myocardial disarray.